Laryngeal membranes are classified into extrinsic and intrinsic. Extrinsic membranes of larynx are all, EXCEPT:
1. Cricothyroid membrane
2. Thyrohyoid membrane
3. Quadrangular membrane
4. Cricotracheal membrane

Correct answer: 3. Quadrangular membrane

Explanation: Extrinsic membranes of larynx:Thyrohyoid membraneCricothyroid membraneCricotracheal membraneIntrinsic membranes of larynx:Cricovocal membraneQuadrangular membrane Ref: Diseases of Ear, Nose and Throat by PL Dhingra, 4th edition, Page 54, 55.